Avulsion of extensor tendon give rise to?
1. Mallet finger
2. Dupuytren's contracture
3. Trigger finger
4. Swan neck deformity

Correct answer: 1. Mallet finger

Explanation: It is the flexion deformity of the distal interphalangeal joint usually due to avulsion of extensor tendon of distal phalanx. Ref: Current Diagnosis & Treatment in Orthopedics 3/e, page 538,564-65.